Most common nephropathy associated with Hepatitis C -
1. MGN
2. MPGN
3. Focal glomerulosclerosis
4. Diffuse glomerulosclerosis

Correct answer: 2. MPGN

Explanation: Ans. is 'b' i.e., MPGN o The most common HCV-associated glomerulonephritis is membranoproliferative glomerulonephritis (MPGN) type 1 with or without cryoglobulinemia